Main cause of shock is?
1. Hypoxia
2. Hypotension
3. Hypoperfusion of tissue
4. Not recalled

Correct answer: 3. Hypoperfusion of tissue